In which year did ESI came into effect?
1. 1948
2. 1958
3. 1960
4. 1975

Correct answer: 1. 1948

Explanation: The ESI Act was passed in 1948. It was amended in 1975, 1984 and 1989. It is an important measure of social security and occupational health in India. Ref: Park 21st edition page: 756.